MEN II and MEN III are associated with:
1. C-myc
2. Erb-B2
3. L-myc
4. Ret

Correct answer: 4. Ret

Explanation: Ret